A patient presented to the OPD with clinical features of pneumonia. Sputum examination of the patient revealed a gram positive cocci with alpha hemolysis on sheep agar. Which test will you do to confirm the diagnosis?
1. Coagulase test
2. Bacitracin sensitivity
3. CAMP test
4. Bile solubility

Correct answer: 4. Bile solubility

Explanation: The clinical features and microbiological characteristics are suggestive of pneumococcal pneumonia The diagnosis can be confirmed by Bile solubility and Optochin sensitivity Reference: Ananthanarayan and Paniker's Textbook of Microbiology Tenth edition